In community-acquired acute bacterial sialadenitis, the most common causative pathogen is:
1. S. aureus
2. S. albus
3. S. salivarius
4. None of the above

Correct answer: 1. S. aureus

Explanation: In community-acquired acute bacterial sialadenitis, the most common causative pathogen is S. aureus, which can be eradicated using an antibiotic with Gram-positive coverage such as amoxicillin with clavulanate or clindamycin.